Adson's test is elicited in a suspected case of
1. Congenital dislocation of hip
2. Cervicall rib
3. Subluxation of shoulder
4. Direct inguinal hernia

Correct answer: 2. Cervicall rib

Explanation: cervical rib is the extension of costal element(anterior part) of transverse process of C7 vertebra more than 2.5 cm(normal). Cervical rib narrows the scalene triangle Adson's test: the hand is raised above after seeing the radial pulse. the patient is asked to take a deep breath and turn the head to the same side. Any change in pulse, i.e. either becoming feeble or absent is noted (Ref: SRB's Manual of Surgery , 5th edition, pg no. 429)